Potassium sparing diuretics include :
1. Spironolactone
2. Triamterene
3. Amiloride
4. All of these

Correct answer: 4. All of these